Which of the following agent is used as a die hardener?
1. Cynoacrylate
2. Nail polish
3. Volatile relief agents
4. Composite Resin

Correct answer: 1. Cynoacrylate